1 month later injury presents with irritability altered sensorium
1. Extradural hematoma
2. SDH
3. ICH
4. SAH

Correct answer: 2. SDH

Explanation: Chronic subdural Hematoma Chronic SDH: Collection of blood breakdown products that is atleast 2-3 weeks old Chronic SDH: SDH often occurs in patients without a clear history of head trauma, as they may arise from minor trauma Clinical features Alcoholics, the elderly, and patients on anticoagulants are at higher risk for developing chronic SDH Patients may present with head ache, seizures, confusion, contralateral hemiparesis or Coma Ref:Sabiston 20th edition Pgno :439-441